Primary center of ossification appears in -
1. Epiphysis
2. Metaphysis
3. Diaphysis
4. None

Correct answer: 3. Diaphysis

Explanation: Primary center of ossification → in diaphysis
Secondary centers of ossification → in epiphysis